All are characteristic features of cerebral palsy except
1. Epilepsy
2. Erb's palsy
3. Hypotonia
4. Spasticity

Correct answer: 2. Erb's palsy

Explanation: Cerebral palsy*CP-Most common chronic motor disability of childhood.*Disorder of tone/posture/movement due to static lesion in brain.*Manifestations may change over time.* 80 %-prenatally acquired.*Minority - Intrapartum asphyxia.Spastic DiplegiaSpastic quadriplegiaAthetoid CPOMost common CP.OLower limbs > Upper limbs.OCommando crawl -dragging of lower limbs while crawling.OScissoring gait.ONormal intelligence.OPeriventricular leukomalacia(PVL)OMC cause- prematurityOMost severe form.OSevere MR/Seizures.ORecurrent aspiration due to supranuclear bulbar palsy.OMRI - PVL & MCCEOMulticystic cortical encephalomalacia.OIncreased tone /brisk reflux/extensor plantar.OMost commonly associated with birth asphyxia.ODyskinetic CP/Dystonic CPOHypotonicOPoor Head ControlOUpper limbs > Lower limbs.ONo seizures. No UMN signs.OIntellect preserved.(Refer: Nelson's Textbook of Paediatrics, 19thedition,pg no:2061)